All are causes of chronic granulomatous uveitis except -
1. Sarcoidosis
2. Tuberculosis
3. Brucellosis
4. Fuchs heterochromic iridocyclitis

Correct answer: 4. Fuchs heterochromic iridocyclitis

Explanation: Fuch's heterochromic iridocylitis is a chronic non-granulomatous uveitis. Sarcoidosis, TB and brucellosis cause granulomatous uveitis. Ref: Parson's 22nd/e p. 251 & 21st/e p. 251 &21st/e p.229.